Dose response curves of salbutamol for bronchodilation and tachycardia are widely separated on dose axis. This information suggested that sulbutamol is
1. Highly potent cardiac stimulant
2. Highly efficacious bronchodilator
3. Highly toxic drug
4. Highly selective drug

Correct answer: 4. Highly selective drug

Explanation: Ref-Katzung 10/e p28,29 Wide Separation of two curves on DRC suggest that the dose required to produce one action is much higher than the other.